Cells associated with humoral immunity is:
1. NK cells
2. B cells
3. T cells
4. Null cells

Correct answer: 2. B cells

Explanation: Ans. B: B cells Humoral immunity is that aspect of specific immunity which is mediated by B lymphocytes and involves the binding of antibodies to antigens Characteristics: Acquired humoral immunity is the recognition of antigens associated with microorganisms or foreign substances. This recognition is coupled with the ability to initiate appropriate actions (e.g., antibody production) against these microorganisms or foreign substances. Acquired humoral immunity may be subdivided into: - that acquired actively - that acquired passively Cellular immunity: * For immunity mediated by cytoxic T cells, an antigen is always a protein or a portion of a protein. * This is because only peptides (protein fragments) interact with MHC (major histocompatibility complex) and cell mediated immunity requires interaction with these MHC-associated peptides.